Component of 50s subunit is/are:
1. 23s
2. 28s
3. 25s
4. 5.8s

Correct answer: 1. 23s

Explanation: A i.e. 23s